DNA synthesis takes place in which phase of cell cycle -
1. G1
2. S
3. G2
4. M

Correct answer: 2. S

Explanation: Ans. is 'b'i.e., S Cell cycleo In cell, the replication of the DNA occurs only at a specific time during the life of the cell. This period is referred to as the synthetic phase. The various phases of cell cycle are (in sequence) G0-G1-S-G2-M.# G1 : Presynthetic phaserinterval.S : Synthetic phase (DNA synthesis).G2. : Post synthetic phase/premitoic phase/interval.M : Mitotic phase : Cells are produced which either directly reenter next cycle or pass into non proliferative Go phase.G0 : Quiescent state.